All are seen in gestational diabetes except -
1. Previous macrosomic baby
2. Obesity
3. Malformations
4. Polyhydramnios

Correct answer: 3. Malformations

Explanation: Malformations Gestational diabetes Gestational diabetics are a heterogenous group of patients whose disease onset or first recognition occurs during the present pregnancy. - The majority of these women have carbohydrate intolerance because of the diabetogenic effects of pregnancy and will have normal carbohydrate tolerance after delivery. - However some of them may have type II or type I diabetes that became apparent under metabolic demands of pregnancy. - In the large majority of patients it is mild and can be adequately controlled with diet along but in minority it will require Glyburide or insulin.